The most common retrobulbar orbital mass in adults -
1. Nerurofibroma
2. Meningioma
3. Cavernous haemangioma
4. Schwannoma

Correct answer: 3. Cavernous haemangioma

Explanation: Commonest benign orbital tumor among adults with female preponderance(70%) ,is located in the retrobulbar muscle cone Ref: ak khurana 6th edition